Wegener's granulomatosis does not affect:
1. Kidney
2. Lungs
3. Eye
4. Liver

Correct answer: 4. Liver

Explanation: Answer is D (Liver) Granulomatous vasculitis involving the Liver is rare in Wegener's granulomatosis. Wegener's granulomotosis does not typically involve the liver. Liver function tests may be observed to be abnormal in Wegener's granulomatosis. These most commonly reflect inflammation rather than specific liver involvement. Granulomata and hepatic blood vessel involvement (Liver involvement) may be seen, but this is rare.' - Vasculitis in Clinical Practice